Hypermature morgagnian cataract most commonly leads to
1. Phacomorphic glaucoma
2. Phacolytic glaucoma
3. Phacoanaphylactic glaucoma
4. Buphthalamos

Correct answer: 2. Phacolytic glaucoma

Explanation: Hypermature morgagnian cataract most commonly leads to Phacolytic glaucoma. LENS INDUCED GLAUCOMA Phacoanaphylactic glaucoma (phacoantigenic glaucoma)is due to anaphylactic reaction to lens protein that is a cryptic antigen. It can be through any intraocular surgery or trauma during which lens material comes in contact of anterior chamber & there is a sudden bout of inflammation associated with rise of IOP. In phacolytic glaucoma lens capsule is intact. There are micropores through which lens proteins leak. Phacomorphic glaucoma is a secondary angle closure glaucoma due to intumescent cataract. It is more common than phacolytic glaucoma. Lens dislocation in anterior chamber or microspherophakia also causes lens induced glaucoma due to angle closure.